All are common opportunistic infections seen early in renal transplant recipients, EXCEPT:
1. Herpes virus
2. Oral candidiasis
3. Urinary tract infections
4. Nocardia

Correct answer: 4. Nocardia

Explanation: Nocardia infection is seen usually after 6 months in renal transplant recipients. Common Opportunistic Infections in Renal Transplant Recipients: Peritransplant period (<1 month) Wound infections Herpesvirus Oral candidiasis Urinary tract infection Early (1-6 months) Pneumocystis carinii Cytomegalovirus Legionella Listeria Hepatitis B Hepatitis C Late (>6 months) Aspergillus Nocardia BK virus (polyoma) Herpes zoster Hepatitis B Hepatitis C Ref: Harrisons principles of internal medicine, 18th edition, Page: 2333.